Holt Aram syndrome is caused by mutation of?
1. TBX5
2. NKX2.5
3. Lefty
4. None of the above

Correct answer: 1. TBX5

Explanation: Mutations in the TBX5 gene result in Holt-Oram syndrome, characterized by preaxial (radial) limb abnormalities and atrial septal defects.